Alpha la blocker ?
1. Tamsulosin
2. Prazocin
3. Terzocin
4. Clonidine

Correct answer: 1. Tamsulosin

Explanation: Ans. is 'a' i.e., Tamsulocin